What is the color of normal amniotic fluid during term delivery?
1. Milky to yellowish green with mucus flakes
2. Dark brown
3. Straw colored
4. Golden color

Correct answer: 3. Straw colored

Explanation: Color of Amniotic fluid Seen in : Clear fluid Early pregnancy Straw colored/ turbid At Term Green Meconium stained Red Antepartum hemorrhage(abruption) Yellowish green Post term pregnancy Tobacco juice IUD Golden yellow Rh isoimmunization